Verapamil is associated with all of the following except?
1. Constipation
2. Bradycardia
3. Hyperglycemia
4. Increased PR interval

Correct answer: 3. Hyperglycemia

Explanation: Verpamil (CCB) does not cause hyperglycemia at therapeutic doses required for the management of Angina. CCB cause A-V block so causes || PR interval and bradycardia in the patients. Other side effects of CCB are:- Constipation(more common with Verapamil) Peripheral edema